A 65 year old patient comes with dysphagia, regurgitation and halitosis. On barium swallow it shows diverticula at upper oesophagus. Which of the following is false about this condition
1. It is more common in women
2. It arises from killian’s triangle
3. It usually deviates from the midline mostly to the left
4. Treatment is myotomy of cricopharyngeus muscle and excision of the sac

Correct answer: 1. It is more common in women

Explanation: It is most common in men.